A 28 year old female presents with acute abdominal pain,vaginal bleeding,severe pallor, hypotension after having induction of ovulation 2 months back for infertility. The provisional diagnosis is:
1. Uterine fibroid
2. Ovarian cyst
3. Ruptured ectopic pregnancy
4. inevitable abortion

Correct answer: 3. Ruptured ectopic pregnancy

Explanation: fig-Ruptured ectopic pregnancy in the right Fallopian tube with surrounding blood clots Infertility, per se, as well as the use of Assisted reproductive technology ,is linked to substantively increased risks for ectopic pregnancy After one ectopic the chance of a second ectopic is 10% A "classic" presentation is characterized by the triad of delayed menstruation, pain, and vaginal bleeding or spotting.